True about status marmoratus is all except –
1. Present in basal ganglia
2. Associated with asphyxia
3. Have a marbled appearance
4. Unilateral

Correct answer: 4. Unilateral

Explanation: Extrapyramidal cerebral palsy secondary to acute intrapartum near-total asphyxia is associated with bilaterally symmetric lesions in the posterior putamen and ventrolateral thalamus.
These lesions appear to be the correlate of the neuropathologic lesion called status marmoratus in the basal ganglia.
These are present in full-term infants of basal nucleus lesions resulting from acute total asphyxia.
The lesions have a marbled appearance caused by neuronal loss and an overgrowth of myelin in the putamen, caudate, and thalamus.